Which of the following is not a complication of posterior capsule rupture during cataract surgery?
1. Retinal detachment
2. Macular edema
3. Dislocation of intraocular lens
4. Angle recession

Correct answer: 4. Angle recession

Explanation: Angle recession is not a complication of posterior capsule rupture. Complications of posterior capsule rupture Dislocation of IOL Glaucoma Endophthalmitis Uveitis Pupillary peaking Macular edema Retinal detachment Cystoid macular edema